All of the following statements about spasmodic dysphonia are true, except-
1. It is a dystonia of Laryngeal Muscles
2. Standard treatment is with injection of Botulinum Toxin
3. Multiple injections of Botulinum toxin are required
4. Patient with Abductor type dysphonia have a strained and strangled voice

Correct answer: 4. Patient with Abductor type dysphonia have a strained and strangled voice